[?](pq/n) is
1. Standard error of proportions
2. Standard error of means
3. Standard error of proportions difference
4. Standard error of means difference

Correct answer: 1. Standard error of proportions

Explanation: Ref:Park's Textbook of Preventive and Social Medicine 25th Ed